Which is non essential mineral:
1. Sodium
2. Manganese
3. Iron
4. Lead

Correct answer: 4. Lead

Explanation: D i.e. Lead